In Langerhans cell histiocytosis, the characteristic abnormality seen on microscopy is -
1. Bibecks granules
2. Foamy macrophages
3. Giant cells
4. Plasma cells

Correct answer: 1. Bibecks granules

Explanation: . Bibecks granules